Risk of preterm delivery is increased if cervical length is lesser than:
1. 2.5 cm.
2. 3.0 cm.
3. 3.5 cm.
4. 4.0 cm.

Correct answer: 1. 2.5 cm.

Explanation: The chance of preterm labour increases more if in the second trimester the cervical length is lesser than 2.5 cms. The chances of effacing this cervix are rapid then with a smaller cervix.